Receptor for BDNF ?
1. TrK-A
2. TrK-B
3. TrK-C
4. None

Correct answer: 2. TrK-B

Explanation: Ans. is 'B' i.e., TrK-B